Regarding color vision, which of the following is TRUE?
1. Independent of wavelength of light
2. Depends on intensity discrimination
3. Involves opponent color cells
4. Minimum at fixation point

Correct answer: 3. Involves opponent color cells

Explanation: The color opponent process is a color theory that states that the human visual system interprets information about color by processing signals from cones and rods in an antagonistic manner. The opponent-process theory states that the cone photoreceptors are linked together to form three opposing color pairs: blue/yellow, red/green, and black/white. The Young-Helmholtz theory postulates that the retina contains three types of cones, each with a different photopigment maximally sensitive to one of the primary colors (red, blue, and green). The sensation of any given color is determined by the relative frequency of impulses from each type of cone. Parvocellular ganglion cells receive color-specific signals from the three types of cones and relay them to the brain the optic nerve. Ref: Waxman S.G. (2010). Chapter 15. The Visual System. In S.G. Waxman (Ed),Clinical Neuroanatomy, 26e.